Which of the following results in thirst ?
1. Cardiac failure
2. Decreased plasma levels of angiotensin II
3. Distension of the cardiac atria
4. Distension of the stomach

Correct answer: 1. Cardiac failure